Antiphospholipid syndrome is associated with all except:
1. Recurrent abortion
2. Venous thrombosis
3. Pancytopenia
4. Antibody to lupus

Correct answer: 3. Pancytopenia

Explanation: ANTIPHOSPHOLIPID ANTIBODY SYNDROME (APLA SYNDROME) Clinical Features:1. Vascular Thrombosis2. Pregnancy Morbidity3. Venous thrombosis (More common)4. Arterial thrombosis (Less common) Laboratory Features:1. Elevated anticardiolipin antibodies (IgG or IgM)2. Elevated Anti beta-2 glycoprotein -1 Antibody3. Thrombocytopenia4. Presence of Lupus Anticoagulant (LA) in plasma5. Hemolytic anemia (Coomb's positive)